Cholecystocaval line separates
1. Caudate lobe and quadrate lobe
2. Physiological left and right half of liver
3. IVC and gall bladder
4. Caudate lobe and IVC

Correct answer: 2. Physiological left and right half of liver

Explanation: Chdecystocaval line
Line drawn from IVC and gall bladder divides liver into 2 halves - right and left lobes.